All of the following are indications of doing PAP smear except :
1. > 20 years
2. Pregnant female
3. Sexually active female
4. Menorrhagia

Correct answer: 4. Menorrhagia

Explanation: Menorrhagia